Septum secundum arises from:
1. Bulbus cordis
2. Primitive ventricle
3. Primitive atrium
4. Sinus venosus

Correct answer: 3. Primitive atrium

Explanation: Septum secundum Grows down from theroof of the common atrium(primitive atrium)toward the atrioventricular endocardial cushions. Present on the right side of the septum primum. Contains foramen ovale for the pasage of blood from RA to LA. Note =Order of heart tube on day 21 from caudal to cranial Sinus venosus Atrium Ventricle Bulbus cordis Truncus arteriosus